Target lesions are observed in case of
1. Erythema multiforme
2. Lichenplanus
3. Pemphigus vulgaris
4. Psoriasis

Correct answer: 1. Erythema multiforme

Explanation: "Target" or "Iris" or "Bull's eye" lesions on hands, wrists and ankles are characteristic of erythema multiformae.